Kahn test is a:
1. Tube flocculation.
2. Slide flocculation.
3. Tube agglutination.
4. Slide agglutination

Correct answer: 1. Tube flocculation.